Graded exposure is useful in:
1. Schizophrenia
2. Phobia
3. Suicidal patients
4. Schizoaffective disorder

Correct answer: 2. Phobia

Explanation: Graded exposure is a behavioural technique used in management of phobia. It is similar to systematic desensitization, but the relaxation component is missing and the graded exposure happens in the real world than therapeutic settings. The exposure is hierarchical from less anxiety provoking to higher anxiety producing stimuli.